Acute congestive glaucoma
1. Pin point pupil
2. Vertically oval mild dilated pupil
3. Hutchinson's pupil
4. Argyll-Robertson pupil

Correct answer: 2. Vertically oval mild dilated pupil

Explanation: i.e. (Vertically oval, mild dilated pupil): (229-Khurana 4th)* Pupil is semi dilated, vertically oval and fixed. It is non reactive to both light and accommodation - seen in Acute congastive glaucomaClinical features of Acute congestive glaucomaSymptoms* Pain - sudden onset of very severe pain, radiates along the branches of 5th nerve* Nausea, vomiting and prostrations* Rapidly progressive impairment of vision, redness, photophobia, and lacrimation* Past histoiy - intermittent subacute attackSigns* Lids - oedematous* Conjunctiva - chemosed and congested* Cornea - oedematous and insensitive* Anglo of AC-is completely closed* Iris may be discoloured* IOP is markedly elevated (between 40 and 70 mm Hg)* Optic disc is oedematous and hyperaemic* Fellow eye shows shallow anterior chamber and a narrow angle (latent angle closure glaucoma)